Partially edentulous condition is more common in maxillary arch; most affected tooth are 1st & 2nd molar;
1. Both statements are true
2. Both statements are false
3. 1st statement is true, 2nd statement is false
4. 2nd statement is true, 1st statement is false

Correct answer: 1. Both statements are true